Which of the following does not include height?
1. Waterlow classification
2. Gomez classfication
3. Body Mass Index
4. Ponderal index

Correct answer: 2. Gomez classfication

Explanation: Ref: Park PSM, 24th edition.